In a patient with chronic congestive cardiac failure,all of the following drugs prolong survival, except
1. Metoprolol
2. Carvedilol
3. Enalapril
4. Digoxin

Correct answer: 4. Digoxin